All of the following causes increase in heart rate except:
1. Halothane
2. Isoflurane
3. Sevoflurane
4. Desflurane

Correct answer: 1. Halothane